The oral drive theory to explain thumb sucking habit was given by
1. Benjamin
2. Sears and wise
3. Sigmund freud
4. Scheldon

Correct answer: 2. Sears and wise